In which of the following head and neck cancers, is lymph node metastasis least common:
1. Tongue
2. Buccal mucosa
3. Hard palate
4. Lower alveolus

Correct answer: 3. Hard palate

Explanation: Ans. is 'c' i.e. Hard palate Incidence of cervical metastasis in head and neck cancers (in decreasing order)Tongue (most common)Floor of mouthLower alveolusBuccal mucosaUpper alveolusHard palate